The following drugs can be used for the management of status asthmaticus except-
1. Magnesium sulfate
2. Montelukast
3. Corticosteroid
4. Adrenaline

Correct answer: 2. Montelukast

Explanation: Monteleukast not used in status asthamaticus. high concentration of oxygen , The mainstay of treatment are high doses of SABA given either by nebulizer or a MDI with a spacer. ( IV b2-agonists) may be added. refractory to inhaled therapies, a slow infusion of aminophylline may be effective Magnesium sulfate given intravenously or by nebulizer is effective when added to inhaled b2-agonists Prophylactic intubation may be indicated for impending respiratory failure. Ref Davidson edition23rd pg 570